Congenital Pseudoarthrosis is
1. More commonly seen in femur
2. Associated with Neuro fibromatosis
3. Complication of osteomyelitis
4. True joint

Correct answer: 2. Associated with Neuro fibromatosis